Triplet repeats in Fragile X -syndrome is?
1. CTG
2. CGG
3. CAG
4. GAA

Correct answer: 2. CGG

Explanation: DISORDER TRIPLET REPEATS Fragile X syndrome CGG Friedreich ataxia GAA Myotonic dystrophy CTG Huntington disease CAG Ref: Nelson, 18th Edition, Pages 135, 499